Halba disease is ________
1. Irregular shedding due to persistent corpus leuteum
2. Menstruation is irregular
3. Irregular ripening
4. Due to adenomatous polyp

Correct answer: 1. Irregular shedding due to persistent corpus leuteum

Explanation: Halbans disease is irregular shedding due to persistent corpus luteum. It is rare and usually self-limiting Menstruation occurs on time and is prolonged but not heavy.. Ref: Shaw's textbook of Gynaecology 17th edition pgno: 139